Methylphenidate is the DOC for -
1. Autism
2. ADHD
3. Dyslexia
4. Pervasive disorder

Correct answer: 2. ADHD

Explanation: Ans. is 'b' i.e., ADHD Drugs used for ADHDCNS StimulantsOther drugso Methylphenidate (DOC)o D exmethylphenidateo Dextroamphetamine oro Dextroamphetamine + amphetamineo Modafmilo Atomoxetineo Bupropiono Venlafaxineo a-agonists (clonidine, guanfacine